Dystrophic calification is seen in -
1. Paget disease
2. Renal osteodystrophy
3. Atheroma
4. Milk Alkali syndrome

Correct answer: 3. Atheroma

Explanation: Ans. is 'c' i.e., Atheroma